Laparoscopic cholecystectomy done in a patient with cholelithiasis. Pathology report shows adenocarcinoma with invasion of muscular layer. CT was normal. Further t/t is
1. Wait and regular follow up
2. Wedge hepatic resection with lymph node dissection
3. Excise all port sites
4. Radiotherapy

Correct answer: 2. Wedge hepatic resection with lymph node dissection

Explanation: .HEPATIC RESECTION (Indications) * Parasitic and non-parasitic cysts. * Benign and primary malignant tumours of the liver. * Secondary tumour that involves by direct extension like from carcinoma of gallbladder or limited secondaries from carcinoma colon/carcinoids. * Trauma to liver.Removal of small portion of liver either within the segment or traversing segments is called as wedge resection of the liver. ref : SRB's manual of surgery,3 rd ed,pg no 559